Risk of endometrial cancer is least in:
1. A positive family history
2. Obesity
3. Late menopause
4. Multigravida

Correct answer: 4. Multigravida

Explanation: Risk factors for endometrial cancer:- 1) Late menopause 2) Nulliparity 3) Unopposed estrogen therapy 4) Obesity, diabetes, hypertension 5) History of persistent anovulation (PCOS) 6) History of irregular & excessive premenopausal bleeding 7) Atypical endometrial hyperplasia 8) Tamoxifen therapy 9) Radiation menopause.